Perineal muscles include all except
1. Ischiocavernosus
2. Puborectalis
3. Bulbospongiosus
4. Transverse perineii

Correct answer: 2. Puborectalis

Explanation: It functions as a point of attachment for muscle fibres from the pelvic floor and the perineum itself: Levator ani (part of the pelvic floor). Bulbospongiosus muscle. Superficial and deep transverse perineal muscles. External anal sphincter muscle. External urethral sphincter muscle fibres. ref - BDC 6e vol2 pg350